All are true about bilirubin , EXCEPT:
1. Hydrophobic and toxic compound
2. It is a tetrapyrrole
3. Daily production is 4 mg/kg
4. Most hemoglobin is derived from ineffective erythropoiesis

Correct answer: 4. Most hemoglobin is derived from ineffective erythropoiesis

Explanation: Bilirubin Hydrophobic and potentially toxic compound It is tetrapyrrole and an end product of heme degradation. Daily production is 4 mg/kg of bilirubin . Most bilirubin (70% to 80%) is derived from degradation of hemoglobin Minor component arises from ineffective erythropoiesis Ref:Sleisenger and Fordtran's,E-9,P-323